All are risk factors for type 2 diabetes mellitus that warrant early screening for diabetes except
1. Family history
2. Hypertension
3. Polycystic ovary syndrome
4. Alcoholism

Correct answer: 4. Alcoholism

Explanation: The ADA recommends screening all individuals >45 years every 3 years and screening individuals at an earlier age if they are overweight (BMI >25 kg/m2 or ethnically relevant definition for overweight) and have one additional risk factor for diabetesRisk Factors for Type 2 Diabetes MellitusFamily history of diabetes (i.e., parent or sibling with type 2 diabetes)Obesity (BMI >=25 kg/m2 or ethnically relevant definition for overweight)Physical inactivityRace/ethnicityPreviously identified with Impaired fasting glucose, impaired glucose tolerance, or a haemoglobin A1c of 5.7-6.4%History of GDM or delivery of baby >4 kg (9 lb)Hypertension (blood pressure >=140/90 mmHg)HDL cholesterol level <35 mg/dL (0.90 mmol/L) and/or a triglyceride level >250 mg/dL (2.82 mmol/L)Polycystic ovary syndrome or acanthosis nigricansHistory of cardiovascular diseaseRef: Harrison 19e pg: 2401